Which of the following is the drug of choice for OCD?
1. Haloperidol
2. Clozapine
3. Doxapine
4. Clomipramine

Correct answer: 4. Clomipramine

Explanation: Two approaches which are indicated in the treatment of OCD are use of SSRIs and Cognitive behavioral therapy. Drugs which are approved for the treatment of OCD are clomipramine, fluoxetine, fluvoxamine and sertaline. Reference: Current Diagnosis and Treatment : Psychiatry 2nd edition chapter 18.